Which of the following enzymes are elevated in cholestasis?
1. Alkaline phosphatase
2. 5' nucleotidase
3. Gamma glutamyl transpeptidase
4. All the above

Correct answer: 4. All the above

Explanation: Ans. is 'd' i.e., All the above Enzymes in cholestasis* The activities of three enzymes-- alkaline phosphatase, 5'-nucleotidase, and y-glutamyl transpeptidase (GGT)--are usually elevated in cholestasis.* Alkaline phosphatase and 5'-nucleotidase are found in or near the bile canalicular membrane of hepatocytes, while GGT is located in the endoplasmic reticulum and in bile duct epithelial cells.* Reflecting its more diffuse localization in the liver, GGT elevation in serum is less specific for cholestasis than are elevations of alkaline phosphatase or 5'-nucleotidase.